Which one of the following drugs does not have active metabolite?
1. Diazepam
2. Propanolol
3. Allopurinol
4. Lisinopril

Correct answer: 4. Lisinopril

Explanation: Lisinopril is a lysine derivative of enalaprilat which is an active metabolite of enalapril. It is an oral prodrug that is converted by hydrolysis to a converting enzyme inhibitor, enalaprilat. Enalaprilat itself is available only for intravenous use, primarily for hypertensive emergencies. All other ACE inhibitors are prodrugs and are converted to active metabolites by hydrolysis, primarily in the liver. Lisinopril doesn't require hydrolysis to become active metabolite. Its oral absorption is low and incomplete. Its half-life is about 12 hours. the active metabolite of diazepam-oxazepam Allopurinol is converted to oxypurinol by xanthine oxidase propranolol undergoes hydrolysis to form active metabolite Pg no- 273 Basics and clinical Pharmacology G. Katzung 13th edition